In sebaceous glands, accumulation of sebum leads to:
1. Milia
2. Acne
3. Epidermoid cyst
4. Miliaria

Correct answer: 2. Acne

Explanation: Ans. b. Acne4 steps in pathogenesis of Acne are:Sebum productionHyperkeratosis of pilosebaceous unitPropionibacterium acnes colonization of pilosebaceous unit Inflammation